The following statements are true for bleaching powder, except-
1. Its action is slow and long acting
2. A fresh sample contains 33% oailable chlorine
3. A strenghth of 1.3% will kill most organisms
4. It is used for disinfection of faeces

Correct answer: 1. Its action is slow and long acting

Explanation: Ans. is 'a' i.e., Its action is slow and long acting